Most common nerve involved in herpes zoster ophthalmicus is
1. Frontal
2. Lacrimal
3. Nasaciliary
4. Oculomotor

Correct answer: 1. Frontal

Explanation: HZO is an acute infection of Gasserian ganglion of the fifth cranial nerve by the varicella-zoster virus (VZV). VZV is a DNA virus and produces acidophilic intranuclear inclusion bodies. It is neurotropic in nature. In HZO , frontal nerve is more frequently affected than the lacrimal and nasociliary nerves. Ref: khurana 6 th edition page no.104